True regarding abdominal autonomic plexus are all except
1. Aorticorenal ganglion is part of celiac ganglion
2. Greater splanchnic is sympathetic root
3. Lesser splanchnic is parasympathetic root
4. Posterior vagal is parasympathetic root

Correct answer: 3. Lesser splanchnic is parasympathetic root

Explanation: Celiac ganglia
-        Located near to the origin of the celiac artery from the abdominal aorta.
-        Mainly formed by two ganglia.
-        Receives preganglionic sympathetic fibers from greater and lesser splanchnic nerves.